Luebke ochsenbein flap is done in
1. When marginal gingiva need to preserved
2. When Prosthetic crowns are present
3. To avoid non-pathogenic dehiscence
4. All the above

Correct answer: 4. All the above